Hard exudates are seen in all except:
1. Diabetic retinopathy
2. Retinitis pigmentosa
3. Eale's disease
4. Retinal artery macroaneurysm

Correct answer: 2. Retinitis pigmentosa

Explanation: Ans. Retinitis pigmentosa